Which of the following drugs is useful in acute attack of gout ?
1. Furosemide
2. Sulfinpyrazone
3. Allopurinol
4. Piroxicam

Correct answer: 4. Piroxicam